A pt. of peptic ulcer disease. When investigated endoscopically showed chronic antral gastritis. Which of the following dye will be able to stain the specimen -
1. PAS
2. Zeil-Neilson stain
3. Gram stain
4. Warthin-Starry stain

Correct answer: 4. Warthin-Starry stain

Explanation: Ans. is 'd' ie. Warthin starry stain Most cases of chronic gastritis are one of the two types - Type A - Autoimmune type associated with pernicious anemia, it primarily involves the body and fundus. Type B - associated with H. pylori infection, it primarily involves the antrum. Mnemonic Type A - Autoimmune Type B - Bacteria i.e. H. pylori In this pt. having chronic antral gastritis (type B) we will use a dye which will help stain H. pylori. Dye used for H. pylori is Warthin starry stain (or Giemsa or genta silver stain)* Some other imp stains Zeil Nelson* --> i i ()bacterium tuberculosis Albert stain* --> Corynebacterium diptheria Oil red 0 stain* -p Fats PAS* --> Glycogen Prussian blue* -> Iron Congo red * --> Amyloid Von Kossa* --> Calcium